All of the following antifungal drugs inhibit ergosterol biosynthesis EXCEPT:
1. Ketoconazole
2. Fluconazole
3. Amphotericin B
4. None of these

Correct answer: 3. Amphotericin B

Explanation: Amphotericin B does not inhibit ergosterol synthesis, instead it binds with ergosterol to form pores in the fungal cell membrane. Fluconazole and Ketoconazole are azoles which act by inhibiting ergosterol biosynthesis. These inhibit the conversion of lanosterol to ergosterol by inhibiting L-14-demethylase.